After L4- S1 the next commonest site of intervertebral disc prolapse is -
1. C6 - C7
2. T12 - LI
3. L1- L2
4. L2 - L3

Correct answer: 1. C6 - C7

Explanation: L5 and L4 - L5 level → 80%.
C5 - C6 and C6–7 level → 19-20%.